Which one of the following is called the immunologically sequestered antigen?
1. Lungs
2. Spleen
3. Thymus
4. Lens of the eye

Correct answer: 4. Lens of the eye

Explanation: Certain self-antigens are present in closed systems and are not accessible to the immune apparatus. These are known as sequestered antigens. An example is the lens antigen of the eye. The lens protein is enclosed in its capsule and does not circulate in the blood.